The following are branches of internal carotid artery except
1. Anterior cerebral artery
2. Posterior cerebral artery
3. Ophthalmic artery
4. Middle cerebral artery

Correct answer: 2. Posterior cerebral artery

Explanation: The internal carotid artery is one of the two terminal branches of the common carotid artery.it begins at the level of the upper border of the thyroid cartilage opposite the disc between the third and fourth cervical cavity by supplying the brain.this is the principal artery of the brain and the eye.it also supplies the related bones and meninges. Courses of artery are divided into four parts: 1. Cervical part in the neck 2. Petrous part 3.cavernous part 4. Cerebral part in relation to base of the brain Ref BDC volume 3;Sixth edition pg 152